Investigation of choice to demonstrate vesico-ureteric reflex:
1. IVP
2. Ultrasound
3. Contrast MCU
4. Cystoscopy

Correct answer: 3. Contrast MCU

Explanation: Ans. Contrast MCU